Acanthosis involves:-
1. Stratum malphigii
2. Stratum granulosum
3. Stratum lucidum
4. Stratum corneum

Correct answer: 1. Stratum malphigii

Explanation: Acanthosis - Thickening of prickle cell layer or malphigian layer. Increase in number of keratinocytes in the prickle cell layer of the epidermis Pseudoacanthosis - increased thickness of the epidermis due to enlarged keratinocytes Acanthosis, Acantholysis- Stratum spinosumHypergranulosis, Agranulosis- Stratum Granulosum